Medical etiquette is related to -
1. Legal responsibility of physicians
2. Rules to be followed by physician
3. Laws of courtesy observed between physicians
4. Moral principles

Correct answer: 3. Laws of courtesy observed between physicians

Explanation: Medical etiquette * Medical etiquette deals with the conventional laws and customs of courtesy observed between members of the medical profession. * For instance, a doctor is not expected to charge for giving medical advice and/or medicines to another doctor. * He is also expected to see him out of turn. If he follows these guidelines, he is said to have observed proper medical etiquette . Dr. K. S. Narayan Reddys Synopsis of Forensic Medicine & Toxicology 27th edition pg. 1.